A 62-year-old man is admitted to the hospital with blurred vision. Physical examination reveals a long history of gradual loss of his visual field. The intraocular pressure is high, and a diagnosis of glaucoma is made. Which of the following spaces first receives the aqueous humor secreted by the epithelium of the ciliary body?
1. Anterior chamber
2. Posterior chamber
3. Pupil
4. Vitreous

Correct answer: 2. Posterior chamber

Explanation: The posterior chamber receives ciliary body secretions first. The ciliary body produces aqueous humor and is located in the posterior chamber. Increased production of fluid from this site would cause an increase in intraocular pressure if drainage is inadequate. The iridoscleral angle of the anterior chamber is the location of drainage of the aqueous humor; therefore, a blockage of drainage in this location can cause increased intraocular pressure. The pupil is the connection between the anterior and posterior chamber; a collection of fluid does not occur here, for this is simply an aperture to allow light onto the retina. The vitreous body is not directly connected to the production of aqueous humor. The lacrimal sac is the upper dilated end of the nasolacrimal duct and opens up into the inferior meatus of the nasal cavity. The nasolacrimal duct has nothing to do with increased intraocular pressure.